Measures of dispersion all except
1. Correlation and regression
2. Mean or average deviation
3. Standard deviation
4. Range

Correct answer: 1. Correlation and regression